Tertiary prevention among the following is
1. Vaccination
2. Sputum test for TB case
3. Health education
4. Rehabilitation

Correct answer: 4. Rehabilitation